Not a delayed complication of fracture
1. Osteoarthritis
2. Joint stiffness
3. Avascular Necrosis
4. Hypovolemic shock

Correct answer: 4. Hypovolemic shock

Explanation: Hypovolemic shock is an immediate complication of fractures.